"Subpoena" is a -
1. First-hand information
2. Medical document
3. Legal document
4. Medicolegal document

Correct answer: 3. Legal document

Explanation: SUBPOENA OR SUMMONS: Sections 61 to 69 of Cr.P.C. Is a document compelling the attendance of a witness in a court of law under penalty, on a particular day, time, and place for the purpose of giving evidence. It may also require him to bring with any books, documents or other things under his control, that he is bound by law to produce in evidence. The Synopsis of Forensic Medicine 28th edition page no: 5.